X-Ray appearance of CBD stone on cholangiography is:
1. Meniscus appearance
2. Sudden cut off
3. Smooth tapering
4. Eccentric occlusion

Correct answer: 1. Meniscus appearance

Explanation: A i.e. Meniscus appearance